How many of the occipito posterior position" become normal (Occipito anterior)position and deliver comfortably
1. 3-4 %
2. 15-16%
3. 20-25%
4. 75-80%

Correct answer: 4. 75-80%

Explanation: Around 80% of cases, occipitoposterior of the fetal head becomes occipitoanterior position and delivers normally. Around 15-16% of cases, stays occipitoposterior position and delivers by face to pubis delivery. Around 2-4% of cases, partly rotates to occipitotransverse positions and goes into deep transverse arrest. In this case manual rotation and forceps delivery or cesarean section is indicated.